Fatal dose of KCN is ?
1. 50 - 60 mg
2. 120 -130 mg
3. 180 -190 mg
4. 280 - 300 mg

Correct answer: 4. 280 - 300 mg

Explanation: Ans. is 'd' i.e., 280 - 300 mg Fatal dose of hydrocyanic acid in the pure form is 50 - 60 mg while as sodium or potassium cyanide is 200 - 300 mg.